Most common cause of acute polyneuropathy is
1. Diphteria
2. Guillian Barre syndrome
3. Sarcoidosis
4. Charcot-Marie-Tooth disease

Correct answer: 2. Guillian Barre syndrome

Explanation: (B) Guillian Barre syndrome # Myocarditis & Polyneuropathy are the prominent toxic manifestations of diphtheria. The risk of each is proportional to the severity of local disease.> Polyneuropathy typically begins 3 to 5 weeks after onset of diphtheria and has a slow course. It appears earliest in patients who experience the most severe and prolonged neurologic abnormalities. Guillain-Barre syndrome (GBS) sometimes called Landry's paralysis, is an acute inflammatory demyelinating polyneuropathy (AIDP), a disorder affecting the peripheral nervous system. Ascending paralysis, weakness beginning in the feet and hands and migrating towards the trunk, is the most typical symptom. It can cause life-threatening complications, particularly if the breathing muscles are affected or if there is dysfunction of the autonomic nervous system. The disease is usually triggered by an acute infection. Guillain-Barre syndrome is a form of peripheral neuropathy. Rarely in Sarcoidosis, multiple lesions occur that mimic multiple sclerosis, spinal cord abnormalities, and peripheral neuropathy. Charcot-Marie-Tooth disease type 1, also known as hereditary motor sensory neuropathy type 1, is an uncommon autosomal dominant disease that causes destruction of peripheral nerves with a varied clinical course, but often leads to muscle weakness. If the peroneal muscle is involved, the patient may develop a characteristic slapping gait.